La belle indifference is seen in
1. Conversion Reaction
2. Schizophrenia
3. Mania
4. Depression

Correct answer: 1. Conversion Reaction

Explanation: A i.e. Conversion reactionLa belle indifferenceQ is in-appropiate attitude of calm or lack of concern about one's disability. It is seen in conversion (dissociative) disorderQ (but not specific), physical illness etc.